All of the following statements about Hairy cell leukaemia are true except
1. Splenomegaly is conspicuous
2. Results from an expansion of neoplastic T lymphocytes
3. Cells are positive for Tartarate Resistant Acid phosphatase
4. The cells express CD25 consistently

Correct answer: 2. Results from an expansion of neoplastic T lymphocytes

Explanation: Hairy cell leukemia is an unusual and uncommon form of B cell malignancy characterised by presence of hairy cells in blood and bonemarrow and splenomegaly. Therefore 2nd statement is false. Splenomegaly is conspicuous.It is the most common or sometimes only abnormal physical finding. Hairy cells have characteristically positive cytochemical staining for TRAP. Express pan B cell markers CD19 and CD2O. ,surface Ig and relatively distinctive markers such as CD 11c,CD25, CD103 and annexin A1 Ref:Robbins and Cotran Pathologic basis of disease.South Asia Edition-9; volume 1.Page no.603,604 Harsh Mohan textbook of pathology 7th edition.Pg no.358